The diagnostic feature that differentiates PTSD from other disorders that occur following a stressful incident is :
1. Episodic occurrence of symptoms
2. Severe anxiety and autonomic arousal
3. Re - experiencing and avoidance of trauma
4. Nightmares about the event

Correct answer: 3. Re - experiencing and avoidance of trauma

Explanation: Persons with other stressful disorder may present with any of the symptoms mentioned in the options but re - experiencing the symptoms is characteristic of Post - traumatic stress disorder.